Number of calories in 100 grams of breast milk is:
1. 45 Kcal
2. 65 Kcal
3. 85 Kcal
4. 105 Kcal

Correct answer: 2. 65 Kcal

Explanation: Ans. B: 65 Kcal Each 100 grams of breast milk yields approximately: 65 Kilocalories 88 g water 7.4 g carbohydrates (primarily lactose) 3.4 g fat 1.1 g protein